A 69-year-old man has numbness in the middle three digits of his right hand and finds it difficult to grasp objects with that hand. He states that he retired 9 years earlier, after working as a carpenter for 50 years. He has atrophy of the thenar eminence ( Fig ). Which of the following conditions is the most likely cause of the problems in his hand?,
1. Compression of the median nerve in the carpal tunnel
2. Repeated trauma to the ulnar nerve
3. Osteoarthritis of the cervical spine
4. Formation of the osteophytes that compress the ulnar nerve at the medial epicondyle

Correct answer: 1. Compression of the median nerve in the carpal tunnel

Explanation: It is due to repeat stress injury - leading to carpal tunnel syndrome compression of median nerve with inflammation of flexor tendons tingling sensation in 31/2 fingers including nail bed loss of motor innervation to muscles of the thenar eminence atrophy ofthenar eminence Osteoarthritis of the cervical spine would also lead to increasing complexity of symptoms. Ulnar nerve is not implicated in these symptoms. It does not provide sensation to digits 1 to 3.